A 35-year-old alcoholic presents with diarrhoea and scaly rash on his neck, hands and feet. He will improve if he is treated with which one of the following?
1. Vitamin A
2. Thiamine
3. Folic acid
4. Nicotinic acid

Correct answer: 4. Nicotinic acid